Hypermobility of TMJ is seen in all except
1. Anterior dislocation of disk
2. Marfan’s syndrome
3. Tardive dyskinesia
4. Phenothiazine therapy

Correct answer: 1. Anterior dislocation of disk

Explanation: In anterior disc displacement, there occur pain, clicking sound on opening or closing